All of the following statements about ticlodipine are true except -
1. Directly interacts with platelet membrane, gpllb/ IIIa receptors
2. Onset of action is delayed
3. Duration of action is long
4. It is used as an alternative to aspirin in patients with cerebrovascular disease

Correct answer: 1. Directly interacts with platelet membrane, gpllb/ IIIa receptors

Explanation: Ans. is 'a' i.e., Directly interacts with platelet membrane,gpIIb/IIIa receptors o Ticlodipine (and Clobidogrel) reduce platelet aggregation by inhibiting ADP pathway ofplateletes. They achieve their antiplatelet effects by irreversibly inhibiting the binding of ADP to its receptor on platelets They do not have any effect on prostaglandin metabolism, and are not blockers of platelet glycoprotein Hb/IHa o The onset of action with ticlodepine is rapid (within hours) o The duration of action is long (about 7 to 10 days) o Ticlodipine has been used in prevention of vascular events among patients with TIA, complicated strokes, unstable angina pectoris o It is being used as an alternative to aspirin in patients with cerebrovascular disease and is superior to aspirin or warfarin type anticoagulants in maintaining coronary stent patency (Harrison 747)